Muscle relaxant safe in renal failure patient is:-
1. Pancuronium
2. Piperacuronium
3. Tubocurarine
4. Atracurium

Correct answer: 4. Atracurium

Explanation: Atracurium and cis-atracurium undergo Hoffmann's elimination (spontaneous non-enzymatic molecular rearrangement) and are the agents of choice for patients with hepatic or renal insufficiency. Atracurium is metabolized to laudanosine that is responsible for seizures. Cis-atracurium is relatively safe in this regard. Cis-atracurium release much less histamine as compared to atracurium.